All os the following are calcium channelopathies, except -
1. Episodic ataxia -1
2. Spinocerebellar ataxia -6
3. Familial hemiplegic migraine
4. Hypokalemic periodic paralysis

Correct answer: 1. Episodic ataxia -1